Sunder, a young male was diagnosed as suffering from acute myeloid leukemia. He was started on induction chemotherapy with Anticancer drugs. Induction regimen was successful. Two months later, he presents to OPD with swelling of both the feet and breathlessness on climbing the stairs. He also complains the he had to wake up many times because of breathlessness. Which of the following is most likely responsible for this patient's symptoms?
1. Cisplatin
2. Methotrexate
3. Doxorubicin
4. Vincristine

Correct answer: 3. Doxorubicin

Explanation: Anthracyclines (daunorubicin, doxorubicin, epirubicin and idarubicin) can cause severe cardiotoxicity manifesting as dilated cardiomyopathy and arrhythmias. Anthracycline chemotherapeutic agents form free radicals in the myocardium. Their most severe side effect is a cumulative dose related dilated cardiomyopathy. It presents with symptoms of left and right ventricular CHF.